What is the mode of treatment of squamous cell carcinoma of maxillary sinus stage T3N0M0 ?
1. Maxillectomy
2. Radiotherapy
3. Maxillectomy and Radiotherapy
4. Maxillectomy and Chemotherapy

Correct answer: 3. Maxillectomy and Radiotherapy

Explanation: T3/N0/M0 indicates stage III. T3 - Tumor larger than 4 cm or involving facial bones (maxilla, mandible, orbit, or temporal N0 - No evidence of regional lymph node metastasis M0 - No distant metastasis Maxillectomy followed by Radiotherapy is the treatment of choice here. Combination of surgery and radiotherapy gives better results than either alone.